Punishment of Perjury is given by
1. 191 IPC
2. 193 IPC
3. 197 IPC
4. 198 IPC

Correct answer: 2. 193 IPC

Explanation: * Sec 191 IPC Giving false evidence under oath (perjury definition) * Sec 192 IPC Fabricating false evidence * Sec 193 IPC Punishment for perjury (3-7 years) Ref:- Essentials of Forensic medicine Dr KS narayana Reddy 33th Edition; Pg num:- 13